Raised serum level of lipoprotein-(a) is a predictor of
1. Cirrhosis of liver
2. Rheumatic arthritis
3. Atherosclerosis
4. Cervical cancer

Correct answer: 3. Atherosclerosis

Explanation: Answer is C (Atherosclerosis) Raised levels of lipoprotein a is a risk factor fir Atherosclerosis 'In addition to a high cholesterol level there is a positive correlation between atherosclerosis of coronary artery and other arteries and circulating levels of lipoprotein-(a)". Lp(a) interferes with fibrinolysis by down regulating plasmin generation and thus contibutes to atherosclerosis.